Most common metnhod of anterior capsulotomy in phacoemulsification -
1. Can-opener capsulotomy
2. Intercapsular capsulotomy
3. Capsulorhexis
4. Envelop capsulotomy

Correct answer: 3. Capsulorhexis

Explanation: The most commonly used technique for anterior capsulotomy during phacoemulsification is continuous curvilinear capsulorhexis (CCC) (Ref: Clinical ophthalmology p.312)